Preferred biochemical markers in patients presenting with myocardial infarction
1. Myoglobin
2. Cardiac specific Troponins
3. CK-MB
4. All of the above

Correct answer: 2. Cardiac specific Troponins

Explanation: As. B: Cardiac specific Troponins Creatine kinase (CK) muscle and brain (CK-MB) mass and myoglobin measurements were the standard up to the mid-1990s, when assays for the cardiac-specific isoforms of troponin I and troponin T became available. They are now the preferred biochemical markers. They may rise to levels more than 20 times higher than the upper reference limit. Their levels may remain elevated for 7-10 days after STEMI